CO2 diffuses more easily through the respiratory membrane than O2 because it is
1. Less dense
2. More soluble in plasma
3. Less molecular weight
4. Less PCO2 in the alveoli

Correct answer: 2. More soluble in plasma

Explanation: Diffusion of Gases Through Liquids The more soluble a gas is, the faster it will diffuse. In this case carbon dioxide diffuses much faster than oxygen, as it is much more soluble. Ref: guyton and hall textbook of medical physiology 12 edition page number:348,349,350